Antifungal drug used for systemic fungal infection is -
1. Griseofulvin
2. Clotrimazole
3. Amphotericin B
4. Econazole

Correct answer: 3. Amphotericin B

Explanation: Ans. is 'c' i.e., Amphotericin B